Following statements are true with respect to a child with marasmus except
1. It is a severely wasted and has skin and bone monkey facies
2. Child appears alert and active
3. Child is more prone for infection and has higher mortality compared to kwashiorkor
4. Appetite is good

Correct answer: 3. Child is more prone for infection and has higher mortality compared to kwashiorkor

Explanation: Nutrient deficiency is the main cause of marasmus. It occurs in children that don't ingest enough protein, calories, carbohydrates, and other important nutrients. This is usually due to poverty and a scarcity of food. There are several types of malnutrition. Reference: GHAI Essential pediatrics, 8th edition